DNA fingerprinting is based on possessing in DNA of
1. Constant tandem repeat
2. Variable number tandem repeats
3. Non-repetative sequence
4. Exon

Correct answer: 2. Variable number tandem repeats

Explanation: These are tandem repeatsThese are short sequence of DNA located at scattered sites The no. Of these repeat units varies from person to person but is it unique for particular personProbability of similarity between two people is only 1 in 3*10^10 personsRef: DM Vasudevan, 7th edition, page no: 637